Which is not seen in the anterior mediastinum:
1. Teratoma
2. Thymic tumours
3. Thyroid tumours
4. Neurofibroma

Correct answer: 4. Neurofibroma